A 20 yr old uncontrolled diabetic presents with sinus swelling and black necrotic mass in the nasal cavity is mostly due to which organism?
1. Mucormycosis
2. Actinomycosis
3. Rhinosporidiosis
4. Cryptococcus

Correct answer: 1. Mucormycosis

Explanation: Ans. is 'a' i.e., Mucormycosis Mucormycosis* Mucormycosis is fungal infection of nose and paranasal sinuses, which may prove rapidly fatal if untreated.* It is seen in uncontrolled diabetics or in those taking immunosuppressive drugs.* It presents as black necrotic mass filling the nasal cavity and eroding the septum and hard palate.* From the nose and sinuses, infection can spread to orbit, cribriform plate, meninges and brain.* The rapid destruction associated with the disease is due to affinity of fungus to invade the arteries and cause endothelial damage and thrombus.* Treatment is by amphotericin B and surgical debridement.